Progressive multifocal leukoencephalopathy spares
1. White matter of cerebrum
2. White matter of parietal lobe
3. White matter of periventricular area
4. Spinal cord and optic nerve

Correct answer: 4. Spinal cord and optic nerve

Explanation: Progressive multifocal leukoencephalopathy (PML) is a demyelinating disease which results from the reactivation of John Cunningham virus (JC virus) infecting oligodendrocytes(which provide support and insulation to axons in CNS) The term Leukoencephalopathy refers to all of the brain white matter diseases Toxic leukoencephalopathy or toxicspongiform leukoencephalopathy is a rare condition that is characterized by progressive damage (-pathy) to white matter (-leuko-) in the brain (-encephalo-), particularly myelin, due to causes such as exposure to drug abuse, environmental toxins, or chemotherapeutic drugs